Which of the following is an immune response cause of anaemia
1. Diamond black fan anaemia
2. Hereditary spherocytosis
3. Glucose-6-phosphate dehydrogenase deficiency
4. Haemolytic disease of the newborn

Correct answer: 4. Haemolytic disease of the newborn

Explanation: Answer- D. Haemolytic disease of the newbornHemolytic disease of newborn is an immune mediated cause of anemia group antigens on fetal red blood cells resulting from maternal antibodies against blood.